Multifocal tumour of vascular origin in a patient of AIDS is -
1. Kaposi's sarcoma
2. Astrocytoma
3. Gastric carcinoma
4. Primary CNS lymphoma

Correct answer: 1. Kaposi's sarcoma